Filgrastim is used in treatment of:
1. Anemia
2. Neutropenia
3. Malaria
4. Filarial

Correct answer: 2. Neutropenia

Explanation: Filgrastim is a recombinant human granulocyte colony stimulating factor (G-CSF) which is a 175 - aminoacid glyco-protein. It differs from the natural granulocyte stimulating factor due to its lack in glycosylation and the presence of an extra N-terminal methionine. It has proved to be effective in the treatment of severe neutropenia. Ref: Goodman and Gilman's The Pharmacological Basis of Therapeutics, 11th Edition, Pages 1429-32; Immunopharmacology By Manzoor M. Khan, Pages 49-50